In a child, foreign body in lung –
1. Rigid bronchoscopy
2. Chest x–ray
3. Flexible endoscopy
4. Direct laryngoscopy

Correct answer: 1. Rigid bronchoscopy

Explanation: Treatment of choice is removal of foreign body by rigid bronchoscope with appropriate antibiotics.